All are trace elements except -
1. Iron
2. Fluoride
3. Potassium
4. Zinc

Correct answer: 3. Potassium

Explanation: Trace elements are elements required by the body in quantities of less than a few milligrams per day.eg.iron,iodine,flourine,zinc,copper cobalt,chromium,manganese,molybdenum,selenium,nickel,tin,silicon and vanadium.(Ref.PARK'S textbbok of sociala and preventive medicine 21st edition page no.573)